Diffuse specific lesions on intestinal biopsy are seen in -a) Celiac sprueb) Whipples diseasec) Agammaglobulinemia d) Abetalipoproteinemal
1. abc
2. bcd
3. ac
4. bd

Correct answer: 2. bcd